Dwarf tapeworm refers to:
1. Echinococcus
2. Loa Loa
3. Hymenolepsis nana
4. Schistosoma mansoni

Correct answer: 3. Hymenolepsis nana

Explanation: Ans. is 'c' i.e., Hymenolepsis nana(Ref: Chatterjee, 12th/e, p. 128)* H. Nana is the smallest intestinal cestode infecting man.* It is also known as dwarf tapeworm.* Egg is peculiar have onchosphere with six hooklets polar filaments.* Shows autoinfection.* DOC - Praziquantel.